Treatment of acne vulgaris may include all except?
1. Cryotherapy
2. Oestrogens
3. UV light
4. Androgens

Correct answer: 4. Androgens

Explanation: D. i.e. Androgen